The Sequence of development of puberty in girls is :
1. Thelarche, Pubarche, Menarche
2. Pubarche, Thelarche, Menarche
3. Pubarche, Menarche. Thelarche
4. Menarche, Thelarche, Pubarche

Correct answer: 1. Thelarche, Pubarche, Menarche

Explanation: Thelarche, Pubarche, Menarche In girls the sequence of development of puberty is (Mnemonic * BPH in males).deg B - Breast development (Thelarche)deg P - Pubic hair development (Pubarche)deg H - Height increases; peak grown velocitydeg attained - growth spurt in males = Menstruation starts (Menarche)deg (Axillary hair develop after menstruation starts)deg Extra Edge : Tanners staging of Breast development - Stage Breast development Stage I Prepubertal state; No palpable breast -tissue with areola < 2 cms in diameter. Stage II Breast budding occurs with a visible and palpable mound of breast tissue. Areola enlarges Nipples begin to develop Stage III Further growth & elevation of entire breast Stage IV Projection of areola & papilla above the general breast contour in a secondary mound Stage V Mature breast Nipple pigmented Montgomery's gland visible Recession of areola to contour of breast. Breast size - Is no indication of breast maturity. Tanners staging of Pubic hair Development - Stage Pubic hair development Stage I No sexually stimulated pubic hair present. Some nonsexual hair may be present. Stage II Coarse, long crinky pubic hair along labia majora Stage III Coarse curly pubic hair extending til mons pubis Stage IV Adult pubic hair in thickness and texture but does not extend up to the inner aspect of thighs Stage V Pubic hair extend upto the thighs Also know : Sexual development in adolescent males 1st sign Testicular enlargementdeg Appearance of pubic hair and growth of axillary hairdeg Penile enlargementdeg Growth spurtdeg